A person with radiologically confirmed reflux nephropathy develops nephrotic range proteinuria. Which of the following would be the most likely histological finding in this patient?
1. Focal segmental glomerulosclerosis
2. Nodular glomerulosclerosis
3. Membranous glomerulopathy
4. Proliferative glomerulonephritis with crescents

Correct answer: 1. Focal segmental glomerulosclerosis

Explanation: Focal segmental glomerulosclerosis It is the most common cause of nephrotic syndrome in adults. Sclerosis is seen in only segment of glomerulus. It is associated with HIV infection, reflux nephropathy & definitive association with sickle cell disease. The patient presents with nephrotic range proteinuria too.